Earliest sign in X-ray in TB spine is:
1. Paravertebral shadow
2. Narrowing of disc space
3. Gibbus
4. Straightening of spinal curves

Correct answer: 2. Narrowing of disc space

Explanation: Ans. B: Narrowing of disc space Reduction of the disc space is the earliest sign in the commoner, paradiscal type of tuberculosis Skeletal TB: Earliest symptom of spinal TB: Back pain Earliest sign in Pott's disease: Narrowing of disc space MC vertebrae to be involved in TB spine: T9-T12 TB spine starts in: Vertebral body (paradiscal) Spina ventosa: TB dactylitis